A female neonate with DiGeorge syndrome develops severe muscle cramps and convulsions soon after birth. Which of the following is the cause of convulsions in this neonate?
1. Acute hemorrhagic adrenalitis
2. Hypocalcemia
3. Hypoglycemia
4. Hypokalemia

Correct answer: 2. Hypocalcemia

Explanation: DiGeorge syndrome: - Caused by failure in development of 3rd and 4th branchial pouches, resulting in Agenesis/ hypoplasia of thymus & parathyroid glands Congenital heart defects Dysmorphic facies -Occurs secondary to deletions on chromosome 22q11.2 - As a result of parathyroid agenesis, patients with DiGeorge syndrome exhibit hypocalcemia, which manifests as increased neuromuscular excitability. - Symptoms range from mild tingling in hands & feet to severe muscle cramps & convulsions.